Which nerve helps in looking laterally and downward:
1. Abducent
2. Trochlear
3. Trigeminal
4. Occulomotor

Correct answer: 2. Trochlear

Explanation: Ans. B TrochlearRef: Gray's, 41st ed. pg. 671* Superior oblique muscle is supplied by trochlear nerve.* Its actions are: aBB duct, Intort & Depress ("BID") eye in primary position.